A thirty-year man presented with nausea, fever and jaundice of 5 days duration. The biochemical tests revealed a bilirubin of 6.7 mg/d1 (conjugated 5.0 mg/dl) with SGOT/ SGPT (AST/ALT) of 1230/900 IU/mi. The serological tests showed presence of HBs Ag. IgM anti-HBc and Hbe Ag. The most likely diagnosis is:
1. Chronic hepatitis B infection with high infectivity.
2. Acute hepatitis B infection with high infectivity
3. Chronic hepatitis infection with low infectivity.
4. Acute hepatitis B infection with low infectivity

Correct answer: 2. Acute hepatitis B infection with high infectivity

Explanation: Answer is B (Acute hepatitis B infection with high infectivity): Presence of Anti HB IgM and Hbs Ag indicates acute infection. Presence of Hbe Ag indicates high infectivity